Common cause of congenital stridor in child?
1. Laryngomalacia
2. Laryngeal web
3. Hemangioma
4. Subglottic stenosis

Correct answer: 1. Laryngomalacia

Explanation: Ans. is 'a' i.e., Laryngomalacia